First change in Visual field seen in Glaucoma
1. Paracentral scotoma
2. Siedel's scotoma
3. Isopter Contraction
4. Arcuate scotoma

Correct answer: 3. Isopter Contraction

Explanation: First change in Visual field seen Glaucoma is Isopter Contraction but is Visually insignigficant.